Both DNA and RNA are present in:
1. Bacteria
2. Prions
3. Virioids
4. Plasmid

Correct answer: 1. Bacteria

Explanation: Ans. a. Bacteria Both DNA and RNA are pre sent in Bacteria Micro-organism Genetic Material Bacteria Contain both DNA and RNA, as well as extra-chromosomal DNA material (plasmids)Q Plasmid Extra-choromosomal circular DNA present in cytoplasm of bacteria and capable of autonomous Viroids Contain low molecular weight RNA (No DNA)Q Prions Are misfolded proteinsQ Devoid of both DNA and RNA